Valley fever or desert rheumatism is caused by ?
1. Sporothrix
2. Cladosporium
3. Phialophora
4. None

Correct answer: 4. None

Explanation: Ans. is 'None'